ICD chapter 21 chapter all except
1. Alcohol
2. Tobacco
3. Injury
4. Drugs

Correct answer: 3. Injury

Explanation: Chapter XXI includes factors influencing health status and contact with health services. Ref : Park's textbook of preventive and social medicine; 23rd edition - Page no 50